A 2 year old boy presents with fever for 3 days which responded to administration of paracetamol. Three days later he developed acute renal failure, marked acidosis and encephalopathy. His urine showed plenty of oxalate crystals. The blood anion gap and osmolal gap were increased. Which of the following is the most likely diagnosis -
1. Paracetamol poisoning
2. Diethyl glycol poisoning
3. Severe malaria
4. Hanta virus infection

Correct answer: 2. Diethyl glycol poisoning